A 26-year-old female presents for ante natal visit. She has a history of abortion in last pregnancy due to neural tube defect in the fetus. What is the amount of folic acid that should be prescribed to this female?
1. 4 micrograms per day
2. 40 micrograms per day
3. 400 micrograms per day
4. 4000 micrograms per day

Correct answer: 4. 4000 micrograms per day

Explanation: *All women of childbearing age and who are capable of becoming pregnant should take 0.4mg (=400mcg) of folic acid daily. *If pregnancy is planned in high-risk women(previously affected child), supplementation should be started with 4mg (=4000microgram) of folic acid daily, beginning 1 month before the time of the planned conception. REF NELSON 19TH ED.